Which of the following is not used in acute gout -
1. Allopurinol
2. NSAIDs
3. Corticosteroid
4. Colchicine

Correct answer: 1. Allopurinol

Explanation: Ans. is 'a' i.e., Allopurinol o NSAIDs are the drug of choice for acute gout -They are prefered over colchicine because they are better toleratedo Indomethacin is often chosen because of its strong anti-inflammatory action and efficacy. - Laurence 9th/e 297Drugs used in acute gouti) NSAIDs - Drug of choiceii) Colchicineiii) Corticosteroidso Allopurinol and uricosuric drugs (sulfinpyrazone, probenacid) are not effective in acute gout because they will not relieve symptoms as they dont have antiinflammatory property.